Pseudoepitheliomatous hyperplasia is a feature of:
1. Myoblastoma
2. Blastomycosis
3. Papillary hyperplasia
4. All of the above

Correct answer: 4. All of the above

Explanation: Pseudoepitheliomatous hyperplasia is also seen in

Granular cell myoblastoma
Blastomycosis
Papillary hyperplasia
DLE